Which one of the following is not seen in the acute irreverisible pulpitis:
1. Pain disappears on removal of stimulus
2. Pain persists on removal of stimulus
3. Increased threshold for stimulus
4. Severe pain

Correct answer: 1. Pain disappears on removal of stimulus